First symptom of digoxin overdose is-
1. GIT disturbance
2. U-vave on ECG
3. Ectopic on ECG
4. Fainting spells

Correct answer: 1. GIT disturbance

Explanation: the first symptom of digoxin overdose is GI disturbance ie nausea and anorexia Ref Davidson 23rd edition pg 460